Which one is not associated with peptic ulcer
1. Smoking cigarette
2. Zollinger Ellison syndrome
3. Plummer Vinsons syndrome
4. Cirrhosis

Correct answer: 3. Plummer Vinsons syndrome

Explanation: Answer is C (Plummer Vinson Syndrome): Plutmner Vinson Syndrome is associated with dysphagia due to esophageal web and not with peptic ulcer disease. Zollinger Ellison syndrome, Cirrhosis and smoking are all associated with Peptic ulcer disease.